A one year old boy presented withhepatosplenomegaly and delayed milestones. Theliver biopsy and bone marrow biopsy revealedpresence of histiocytes with PAS-positive Diastaseresistantmaterial in the cytoplasm. Electronmicroscopicexamination of these histiocytes is mostlikely to reveal the presence of;
1. Birbeck granules in the cytoplasm
2. Myelin figures in the cytoplasm
3. Parallel rays of tubular structures in lysosomes
4. Electron dense deposit in the mitochondria

Correct answer: 3. Parallel rays of tubular structures in lysosomes

Explanation: Parallel rays of tubular structures in lysosomes